Sodium hypochlorite in caridex is used in concentration of
1. 0.2 % w/v
2. 0.5% w/v
3. 1.5% w/v
4. 1 % w/v

Correct answer: 4. 1 % w/v